Which of the following is a condition affecting the epidermis of the skin in which blisters do not form?
1. Adenocarcinoma
2. Bullous pemphigoid
3. Carcinoma
4. First-degree burn

Correct answer: 4. First-degree burn

Explanation: First-degree burns damage the upper layers of the epidermis only, and blisters do not form in the skin.